Area of mitral orifice in adults is:
1. 6-8 cm2
2. 5-2 cm2
3. 4-6 cm2
4. 1-4 cm2

Correct answer: 3. 4-6 cm2

Explanation: Answer is C (4-6 cm2): The normal area of mitral valve is 4-6 em2. Mitral Valve & pathology Area Normal Mitral Valve 4-6 cm2Q Mild Mitral Valve < 2 cm? Severe Mitral Stenosis < 1.3 cm2Q Critical Mitral Stenosis < 1 cm2 Q Aortic Valve & pathology Area Normal Aortic Valve 2.6 - 3.5 cm2Q Mild Aortic Stenosis 1.5 - 2 cm2 Moderate Aortic Stenosis 1 - 1.5 cm2 Severe Aortic Stenosis < 0.8cm2